Anterior cardiac vein opens into -
1. Right atrium
2. Coronary sinus
3. Thebesian veins
4. Middle cardiac vein

Correct answer: 1. Right atrium

Explanation: Ans. is 'a' i.e., Right atrium Veinous drainage of heart1. Coronary sinus: Opens into right atrium and has following tributries : (i) Great cardiac vein, (ii) Middle cardiac vein, (iii) Posterior vein of left ventricule, (iv) Small cardiac vein, (v) Oblique vein of left atrium and (vi) Sometimes right marginal vein.2. Anterior cardiac vein: Opens into right atrium.3. Venae cordis minimi (thebasian veins): Open into right atrium.4. Right marginal vein: More often opens into right atrium but sometimes into coronary sinus.